In an  inflamatory response to infection, it is found that the inflamatory infilterate is predominated by neutrophils for several days beyond the usual 24-48 hours. Which of the following organisms is most likely the cause of infection?
1. Pseudomonas
2. Staphylococci
3. Fungi
4. Virus

Correct answer: 1. Pseudomonas

Explanation: In most forms of acute inflammation, neutrophils predominate in the inflammatory infiltrate during the first 6 to 24 hours and are gradually replaced by monocyte-derived macrophages over 24 to 48 hours.
In  certain infections—for  example, those  produced by Pseudomonas bacteria—the cellular infiltrate is dominated by neutrophils for several days.
In viral infections, lymphocytes may be the first cells to arrive.
In allergic reactions, eosinophils may be a prominent cell type.
Some hypersensitivity reactions are dominated by activated lymphocytes, macrophages, and plasma cells (reflecting the immune response).